Gluconeogenesis can occur from all except :
1. Lactic acid
2. Aceto acetate
3. Glycerol
4. Alanine

Correct answer: 2. Aceto acetate

Explanation: B i.e. Acetoacetate